Most reversible form of infertility :
1. Anovulation
2. EndometrosisOligospermia
3. Tubal factor
4. Oligospermia

Correct answer: 1. Anovulation

Explanation: Anovulation